A 33 year old lady present! with polydipsia and polyuria. Har symptoms started soon after a road traffic accident 6 months ago. The blood pressure is 120/80 mm Hg with no postural drop. The daily urinary output Is 6-8 liters. Investigation showed, Na 130 mEq/L, KJ.5 mEq/L, urea 15mg/dL, sugar-65 mg/dL. The plasma osmolality is 268 mosmol/L and urine osmolatity 45 mosmol/L. The most likely diagnosis is-
1. Central diabetes insipidus
2. Nephrogenic diabetes insipidus
3. Resolving acute tubular necrosis
4. Psychogenic polydipsia

Correct answer: 4. Psychogenic polydipsia

Explanation: here there is no thirst and polydipsia due to psychosis ( Harrison 17 pg 2219)